In the WHO definition of health, which of the following components is not included, but should be included
1. Physical
2. Social
3. Spiritual
4. Mental

Correct answer: 3. Spiritual

Explanation: Health is a state of complete physical, mental, and social well-being and not merely the absence of disease or infirmity.